All of the following are the movements taking place during abduction of shoulder joint, EXCEPT?
1. Medial rotation of scapula
2. Axial rotation of humerus at acromioclavicular joint
3. Elevation of humerus
4. Movements at clavicular end of sternoclavicular joint

Correct answer: 1. Medial rotation of scapula

Explanation: Abduction of the shoulder joint is a complex movement in which the arm is carried forwards and laterally in the plane of scapula and then raised until it is directed vertically above the shoulder thereby completing a movement of 180 degree. The movement involves not only the shoulder joint but requires the lateral rotation of scapula on the chest wall which is accompanied by associated movements at the sternoclavicular and acromioclavicular joints of the shoulder girdle and elevation of humerus.